All of the following structures are associated with branches of the trigeminal nerve EXCEPT the:
1. Foramen ovale
2. Foramen rotundum
3. Superior orbital fissure
4. Stylomastoid foramen

Correct answer: 4. Stylomastoid foramen